A female athlete who took testosterone-like steroids for several months stopped having normal menstrual cycles. What is the best explanation for this observation?
1. Testosterone stimulates inhibin production from the corpus luteum
2. Testosterone binds to receptors in the endometrium, resulting in the failure of the endometrium to develop during the normal cycle
3. Testosterone binds to receptors in the anterior pituitary that stimulate the secretion of FSH and LH
4. Testosterone inhibits the hypothalamic secretion of GnRH and the pituitary secretion of LH and FSH

Correct answer: 4. Testosterone inhibits the hypothalamic secretion of GnRH and the pituitary secretion of LH and FSH

Explanation: The cells of the anterior pituitary that secrete LH and FSH, along with the cells of the hypothalamus that secrete GnRH, are inhibited by both estrogen and testosterone. The steroids taken by the woman caused sufficient inhibition to result in cessation of the monthly menstrual cycle.